Which of the following is an atypical antipsychotic?
1. Clozapine
2. Chlorpromazine
3. Thioridazine
4. Haloperidol

Correct answer: 1. Clozapine

Explanation: (Ref: KD Tripathi, 7th ed. pg. 440-41)Classification of typical vs atypical antipsychoticsTypical/Classical antipsychoticsMOA: D2 receptor blocking* Phenothiazines: Chlorpromazine, Thioridazine, Trifluperazine, Fluphenazine, Perphenazine* Thioxanthenes: Flupenthixol, Zuclopenthixol, Thiothixene* Butyrophenones: Flaloperidol, Droperidol, Benperidol, DomperidoneAtypical AntipsychoticsMOA: 5HT2A , D4, D2, a blocking* Risperidone, Quetiapine, Aripiprazole, Clozapine, Olanzapine, Ziprasidone, Zotepine, Asenapine, Sertidole, Lurasidone